Alveolar process helps in providing
1. Support and retention to the complete denture
2. Boundaries for the tongue during speech
3. Attachment to muscles of facial expression
4. Support the natural teeth

Correct answer: 4. Support the natural teeth